All of the following are causes of fasting hypoglycemia, except:
1. Glucagon Excess
2. Glucose-6-Phosphatase deficiency
3. Glycogen-synthase deficiency
4. Uremia

Correct answer: 1. Glucagon Excess

Explanation: In the above question glucagon excess is the answer because glucagon deficiency leads to fasting hypoglycaemia. Also in glucose - 6 - phosphatase deficiency, hypoglycaemia and lactic acidosis can develop after a short fast. Glycogen synthase deficiency can also lead to hypoglycaemia and ketosis and Response to insulin and glucose utilization is impaired in patients having uremia. Ref: Harrison's 16th Edition, Page 1658, 2321 (table 341-1), 2180